A patient has normal anterior chamber and hazy cornea in one eye and shallow anterior chamber and miotic pupil in fellow eye. Busacca nodules on iris are seen. Diagnosis is:
1. Endophthalmitis
2. Acute congestive glaucoma
3. Chronic simple glaucoma
4. Acute anterior uveitis

Correct answer: 4. Acute anterior uveitis

Explanation: Anterior uveitis is most common and is usually unilateral and acute in onset. Typical symptoms include pain, photophobia, and blurred vision. Examination usually reveals circumcorneal redness with minimal injection of the palpebral conjunctiva or discharge. The pupil may be small (miosis) or irregular due to the formation of posterior synechiae. Clumps of white cells and inflammatory debris termed keratic precipitates are usually evident on the corneal endothelium in patients with active inflammation. Keratic precipitates may be large so-called "mutton fat" or "granulomatous", small and nongranulomatous, or stellate. Iris nodules may be present at the iris margin (Koeppe nodules), within the iris stroma (Busacca nodules), or in the anterior chamber angle (Berlin's nodules). Ref: Cunningham, Jr. E.T., Augsburger J.J., Correa Z.M., Pavesio C. (2011). Chapter 7. Uveal Tract & Sclera. In P. Riordan-Eva, E.T. Cunningham, Jr. (Eds), Vaughan & Asbury's General Ophthalmology, 18e.